Small pox belongs to which class of poxviruses ?
1. Parapoxvirus
2. Capripoxvirus
3. Leporipox virus
4. Orthopoxvirus

Correct answer: 4. Orthopoxvirus

Explanation: Ans. is 'd' i.e., Orthopoxvirus i) Entomopoxvirinae : Poxviruses of insects which do not infect vertebrates. Chordopoxvirinae are classified into six genera or subgroups - i) Orthopoxvirus : These are mammalian poxviruses that tend to cause generalized infection with rash. Exmples are variola (smallpox virus), vaccinia, cowpox, monnkeypox, rabbitpox, buffalopox, camelpox, mousepox. ii) Parapoxvirus : Viruses of ungulates that may occasionally infact human, eg. Orf (contagious pustular dermatitis) and paravaccinia (milker's node, bovine pupular stomatitis). iii) Copripoxvirus : Viruses of goat and sheeps, eg. sheep-pox, goatpox, lumpy skin disease. iv) Leporipox virus : Viruses of of leporids (rabbits, hares, squirrels), e.g. myxoma and fibromas. v) Avipoxvirus : Virus of birds, eg. fowlpox, turkeypox, pigeonpox, canarypox. vi) Suipoxvirus : Virus of swine, eg. swinepox.